A 67-year-old business executive and tennis player has a basal cell carcinoma removed from the right cheek. What is TRUE of basal cell carcinoma?Basal cell carcinoma with rolled, pearly borders
1. It may show a flat ulcer.
2. It may metastasize to lymph nodes.
3. It may metastasize to remote skin areas.
4. It is found exclusively in the head and neck.

Correct answer: 1. It may show a flat ulcer.

Explanation: The surface of a basal cell carcinoma has a shiny appearance with telangiectasia. Ulcer formation may occur; hence, are named rodent ulcer. Although treatments with 5 FU, cryosurgery, or electrodessication are effective in treatment, surgical excision offers the best results and ensures an accurate diagnosis.